Parathyroid Gland accidentally removed and found after surgery is implanted in
1. Sartorius
2. Biceps
3. Brachioradialis
4. Triceps

Correct answer: 3. Brachioradialis

Explanation: Ans. (c) BrachioradialisRef: Surgery Sixer 3rd Edition Page 235* Accidentally removed Parathyroid Gland found after surgery in Specimen is kept in non Dominant hand Brachioradialis muscle* If the parathyroid is identified during Surgery it must be inserted in the Sternocleidomastoid muscle pocket.